Which among the following is associated with BRCA mutation carrier status
1. Mucinous borderline ovarian tumor
2. High grade pelvic serous carcinoma
3. Endometroid ovarian cancer
4. Sertoli - leydig ovarian tumor

Correct answer: 2. High grade pelvic serous carcinoma

Explanation: High - grade pelvic serous carcinoma includes all high grade serous tumors arising from ovary, fallopian tube, and or peritoneum. As many as 30% of these cancers have BRCA mutations.